Type of laser used for capsulotomy is:
1. CO2
2. Ruby
3. Nd:YAG
4. Argon

Correct answer: 3. Nd:YAG

Explanation: Ans. Nd:YAG